Inguinal & femoral hernia are differentiated by relation with:
1. Pubic tubercle
2. Femoral artery
3. Inferior epigastric artery
4. Pectineal line

Correct answer: 1. Pubic tubercle

Explanation: Ans. A i.e. Pubic tubercle